26-year-old man comes to hospital complaining of fever, nausea, pain, and itching in the perineal region. O/E by an urologist, he is diagnosed as having infected bulbourethral (Cowper's) glands. Which of the following is affected by this infection?
1. Superficial perineal space
2. Production of sperm
3. Sphincter urethrae
4. Testis

Correct answer: 3. Sphincter urethrae

Explanation: Bulbourethral glands lie on either side of membranous urethra, embedded in sphincter urethrae. Their ducts open into bulbous part of penile urethra. --Semen--a thick, yellowish white, viscous, spermatozoa-containing fluid--is a mixture of secretions of testes, seminal vesicles, prostate, and bulbourethral glands. Sperm or spermatozoa are produced in the seminiferous tubules of the testis and matured in head of epididymis. Seminal vesicles are lobulated glandular structures, produce the alkaline constituent of seminal fluid that contains fructose and choline, and lie inferior and lateral to ampullae of ductus deferens against the fundus (base) of bladder.